Amount of amniotic fluid at 12 weeks is -
1. 50 ml.
2. 100 ml.
3. 200 ml.
4. 400 ml.

Correct answer: 1. 50 ml.